Decrease in serum iron and decrease TIBC is seen in-
1. Iron deficiency anemia
2. Thalassemia
3. Anemia of chronic disease
4. Sideroblastic anemia

Correct answer: 3. Anemia of chronic disease